True about DNA structure:
1. Purines are adenne and guanine & pyrimidines are uracil and cytosine
2. Watson and Crick discovered structure in 1973
3. Deoxyribose-phosphate backbone with bases stacked inside
4. Mainly consists of left handed helix

Correct answer: 3. Deoxyribose-phosphate backbone with bases stacked inside

Explanation: C i.e. Deoxyribose-phosphate backbone with bases stacked inside